Hynes pharyngoplasty is used to improve a child's -
1. Appearance
2. Teething
3. Speech
4. Feeding

Correct answer: 3. Speech

Explanation: • Used for the treatment of Velopharyngeal incompetence leading to speech problems